A 25-year-old footballer is elbowed in the chest by the rival defender during ball possession. Following the chest trauma, the player collapses and dies. The most probable cause of death is:
1. HOCM
2. Commotio Cordis
3. Hemo-thorax
4. Aortic transaction

Correct answer: 2. Commotio Cordis

Explanation: Blunt, non-penetrating, often innocent-appearing injuries to the chest may trigger ventricular fibrillation even in absence of overt signs of injury and lead to sudden cardiac death. This syndrome, referred to as Commotio Cordis, occurs most often in adolescents during sporting events (e.g., baseball, hockey, football) and results from an impact to the chest wall overlying the heart during the susceptible phase of repolarization just before the peak of the T wave. Survival depends on prompt defibrillation.